The crystalline lens derives its nourishment from –
1. Blood vessels
2. Connective tissue
3. Aqueous and vitreous
4. Zonules

Correct answer: 3. Aqueous and vitreous

Explanation: Major source of energy for lens is glucose which diffuses from aqueous (mainly) and vitreous into the lens.